Skin graft vestibuloplasty prevent relapse by:
1. Forming a barrier to reattachment of muscle to periosteum
2. Promoting osteogenesis to establish a bone barrier to loss of sulcus depth
3. Causing an inhibitory effect on fibroblasts in the underlying tissue
4. None of the above

Correct answer: 1. Forming a barrier to reattachment of muscle to periosteum